The arteries to the upper extremity are derived from which of the following?
1. Posterolateral arteries
2. Lateral arteries
3. Ventral arteries
4. None of the above

Correct answer: 1. Posterolateral arteries

Explanation: A. Arteries to the upper extremity are derived from posterolateral branches of the dorsal aorta.